Hormones FSH & LH of anterior pituitary gland acts on
1. Testis but not ovaries
2. Ovaries but not testis
3. Both Testis and ovaries
4. Adrenal cortex

Correct answer: 3. Both Testis and ovaries